Denominator in General fertility rate is?
1. Married women in reproductive age group in a given year
2. Women in reproductive age group in a given year
3. Married women in any specified age group
4. Women in any specified age group

Correct answer: 2. Women in reproductive age group in a given year

Explanation: Ans. is 'b' i.e., Women in reproductive age group in a given year